Which of the following drugs increases gastro- intestinal motility?
1. Glycopyrrolate
2. Atropine
3. Neostigmine
4. Fentanyl

Correct answer: 3. Neostigmine

Explanation: Ans. (C) Neostigmine(Ref: KDT 8th/e p130)Cholinergic drugs increase GI motility. Neostigmine is an inhibitor of the enzyme AChE (which is responsible for the breakdown of ACh). It thus acts like a cholinergic agent.Glycopyrrolate and atropine are anticholinergic drugs; thus reduce GI motility. Fentanyl is an opioid and can cause constipation.